A child having perianal pruritus with following eggs is due to -
1. E. vermicularis
2. Ascaris
3. Ancylostoma duodenale
4. Strongyloides stercoralis

Correct answer: 1. E. vermicularis